Which micronutrient deficiency causes anemia?
1. Copper
2. Molybdenum
3. Selenium
4. Flurine

Correct answer: 1. Copper

Explanation: Ans. is 'a' i.e., CopperCopper containing protein ceruloplasmin is necessary for transport of iron in the Ferric form across membranesCopper is an integral component of ALA synthase, which is necessary for heme synthesisCopper helps in the uptake of iron across normoblasts